Myocardial infarction is associated with increased of
1. CPK
2. CPK-MM
3. CPK-MB
4. CPK - BB

Correct answer: 3. CPK-MB

Explanation: C. i.e. (CPK - MB) (III - U. Satyanarayan 3rd) (599- Rana Shinde 7th)CPK exists as three isoenzyme - Each isoenzyme is a dimmer composed of two subunits - M (muscle) or B (brain) or bothIso enzymeSubunitTissue of originCPK,BBBraincpk2MBHeartCPK3MMSkeletal muscle* CPK2- MB is the earliest reliable indication of myocardial infarction* Troponins are more sensitive and specific*** CPK - NOT found in RB cells and it level is not affected by haemolysis* Normal value - 4 - 60 IU/L (at 37degC)